Treatment of Medullary carcinoma of thyroid is
1. Surgery and Radiotherapy
2. Radiotherapy and Chemotherapy
3. Surgery only
4. Radioactive ablation

Correct answer: 3. Surgery only

Explanation: Management Total thyroidectomy + Routine central lymph node dissection + ipsilateral modified radical node dissection (Tumor > 1cm) +- Bilateral modified Radical neck dissection (if any lymph node is positive) MCT - Poor prognosis (because it does not respond to radioactive iodine ablation) Vandetanib - Only FDA approved drug in advanced progressive medullary thyroid cancer.